Pressure on carotid sinus cause
1. Hyperapnea
2. Reflex bradycardia
3. Tachycardia
4. Dyspnea

Correct answer: 2. Reflex bradycardia

Explanation: Ans. (b) Reflex bradycardiaRef: Ganong, 25th ed/p.590The definition of Baroreflex is - "Whenever blood pressure increases, baroreceptors increase their discharge and send their impulse to medulla which ultimately decreases the blood pressure and decreases heart rate (reflex bradycardia)"